The principle that in spinal cord, the dorsal roots are sensory and the ventral roots are motor, is known as:
1. Bell-Magendie law
2. Dale's principle
3. Monro-Kellie hypothesis
4. Muller's doctrine

Correct answer: 1. Bell-Magendie law

Explanation: Bell Megendie Law: States that in spinal cord, the dorsal roots are sensory and the ventral roots are motor. Dale's principle: Same neurotransmitter is released at all branches of a neuron. Monro Kellie hypothesis: The blood volume in the cranial cavity is approximately constant. As the cranium is rigid (except in a young child) and as the brain is virtually incompressible the combined volume of brain tissue, cerebrospinal fluid (CSF), and intracranial blood is nearly constant. Muller's doctrine of specific nerve energies: When a particular nerve pathway from a particular sense organ is stimulated, the sensation produced is that for which the receptor is specialized, no matter how the pathway was stimulated.